Catabolism of long chain fatty acids occur in:
1. Mitochondria
2. Peroxisome
3. Endolysosome
4. Golgi bodies

Correct answer: 1. Mitochondria

Explanation: Ans: A (Mitochondria) Ref: Lippincott Illustrated Biochemlstryt 6th edition, chapter 16, pg 190Explanation:Mechanism of catabolismChieforganelleFatty acidsBeta oxidationMitochondria* Long chain fatty acids* Medium chain fatty acids* Short chain fatty acidsBeta oxidationPeroxisomes* Very long chain fatty acidsOmegaoxidationEndoplasmicreticulum* Works only when mitochondria does not oxidizeAlpha oxidationPeroxisomes* Branched chain fatty acidsAlso Remember:Alpha-Oxidation occurs in Peroxisomes and is used for branched fatty acids that cannot directly undergo |3-oxidation such as phytanic acid.Omega-oxidation occurs in smooth ER of the liver and is primarily used for detoxification but can become more active if mitochondrial |3-oxidation is defective.Beta oxidation of very long chain [20 or more carbons) fatty acids occur in peroxisome.VLCFA should be first broken down to a manageable size in peroxisome before it can be oxidized in mitochondria.